Which of the following is not a component of University of
Wisconsin?
1. Adenosine
2. Glutathione
3. Allopurinol
4. Potassium citrate

Correct answer: 4. Potassium citrate